What is the most common cause of gastric outlet obstruction in a 4-week-old baby
1. Annular pancreas
2. Foreign body
3. Congenital hypertrophic pyloric stenosis
4. Duodenel atresia

Correct answer: 3. Congenital hypertrophic pyloric stenosis

Explanation: It is seen between 3rd and 6 the week of age of an infant because it's the time taken by the hypertrophied muscle to cause complete obstruction. SRB edition 5th page no: 821